Kaposi sarcoma is caused by:
1. HHV 6
2. HHV 7
3. HHV 8
4. All of the above

Correct answer: 3. HHV 8

Explanation: Ans. C i.e. HHV 8 Kaposi sarcoma (KS) It is a tumor caused by Human herpesvirus 8 (HHV8), also known as Kaposi sarcoma-associated herpesvirus (KSHV). It was originally described by Moritz Kaposi , a Hungarian dermatologist practicing at the University of Vienna in 1872. It became more widely known as one of the AIDS-defining illnesses in the 1980s. Kaposi's sarcoma (KS) is a systemic disease that can present with cutaneous lesions with or without internal involvement. Four subtypes have been described: - Classic KS, affecting middle aged men of Mediterranean descent; - African endemic KS; KS in iatrogenically immunosuppressed patients; and - AIDS-related KS. Classic KS tends to be indolent, presenting with erythematous or violaceous patches on the lower extremities. African endemic KS and AIDS-related KS tend to be more aggressive. The AIDS-related KS lesions often rapidly progress to plaques and nodules affecting the upper trunk, face, and oral mucosa. The diagnosis can be made with a tissue biopsy and, if clinically indicated, internal imaging should be done.